Stapes footplate covers :
1. Round window.
2. Oval window.
3. Inferior sinus tympani.
4. Pyramid

Correct answer: 2. Oval window.

Explanation: Ans. is 'b' i.e. Oval window Oval window is present in the medial wall of the middle ear. It is covered by foot plate of stapes.The other window round window is also present on the medial wall. It is covered by secondary tympanic membrane.Role of these 2 windows in hearingOval window -It receives sound vibration and transmits it to labyrinth.Round window -It acts as a relief window - Absence or damage of either of these windows will lead to loss of movement of cochlear fluids resulting in conductive hearing loss.